High anion gap acidosis is seen in all the following, except
1. Diabetic ketoacidosis
2. Lactic acidosis
3. Renal tubular acidosis
4. Methanol poisoning

Correct answer: 3. Renal tubular acidosis

Explanation: Ans. Renal tubular acidosis